Vitamin D
1. Absorption requires bile pigments
2. Synthesis is regulated at the reaction catalyzed by 15-hydroxylase
3. Deficiency on adults leads to rickets
4. Along with PTH, increases calcium resorption from bone

Correct answer: 4. Along with PTH, increases calcium resorption from bone